Pain of cracked tooth syndrome is differentiated by
1. Pain on biting
2. Pain on release of bite pressure
3. Continuous pain
4. Decrease threshold for pain

Correct answer: 2. Pain on release of bite pressure